The daily extra calories in the second and third trimester of pregnancy is
1. 150 kCals
2. 200 kCals
3. 350 kCals
4. 250 kCals

Correct answer: 3. 350 kCals

Explanation: Ans- C Extra calories required in pregnancy during 1st trimester is 150 kcals and 2nd trimester and 3rd trimester is 350 kcals